Cold sterilization is done by:
1. Steam
2. Ionizing radiation
3. Infrared
4. UV

Correct answer: 2. Ionizing radiation

Explanation: Ref: Ananthanarayan's Microbiology, 8th ed. pg. 35* Cold sterilization is a process in which sterilization is carried out at low temperature with the help of chemicals, radiations, membranes.* Ionizing radiation such as X-rays, gamma rays and cosmic rays, cause no appreciable increase in temperature in this method, it is referred to as cold sterilization.